A patient of rectal carcinoma found to have tumor invading through the muscularis propria into the perirectal tissues, and two enlarged lymph nodes. How will you manage the patient?
1. Surgery only
2. Surgery + Adjuvant chemotherapy
3. Preoperative chemoradiation followed by surgical resection
4. Palliative chemoradiation

Correct answer: 3. Preoperative chemoradiation followed by surgical resection

Explanation: Stage of rectal cancer in the given scenario- Tumor invading through the muscularis propria into the perirectal tissues- T3 Two enlarged lymph nodes- N1b Thus, making it stage 3 Management of rectal cancer according to its stage- Stage Management Tis Polypectomy I Segmental resection II Neoadjuvant chemotherapy followed by surgical resection III Preoperative chemoradiation followed by surgical resection IV Palliation, metastatectomy